"Guidance to eruption" is another term for
1. Frankel's appliance
2. Activator
3. Serial extraction
4. Bionator

Correct answer: 3. Serial extraction